Chromosomal translocation characteristic in acute promyelocytic leukemia is:
1. t ( 15; 17)
2. t ( 22; 9)
3. t ( 21; 17)
4. t ( 8; 21)

Correct answer: 1. t ( 15; 17)

Explanation: In AML with the t(15;17),acute promyelocytic leukemia (M3 stage) ,auer rods present (most common stage associated with DIC) t(8,21) AML With maturation stage (M2 stage) t(16,16) associated with best prognosis. Presence of "FAGGOT CELLS" is a characterstic feature of AML M3 (acute promyelocytic leukemia) Faggot cells are cluster of auer rods (shown in image below) All-trans retinoic acid (ATRA)- induce the neoplastic promyelocytes to differentiate into neutrophils rapidly.